Health promotion includes
1. PAP smear
2. Mass treatment
3. Immunization
4. Health education

Correct answer: 4. Health education

Explanation: Ref: 25th Ed K.Park's Textbook Of Preventive and Social Medicine